"DOTS indicates-
1. Short term treatment under supervision
2. Short term treatment without
3. Long term treatment with supervision
4. Long term treatment without supervision

Correct answer: 1. Short term treatment under supervision

Explanation: DOTS indicate directly observed treatment shortcourse. REF. PARK'S TEXTBOOK OF PREVENTIVE AND SOCIAL MEDICINE 21ST EDITION. PAGE NO - 172